Irresistible sexual desire in a male is known as:
1. Nymphomania
2. Tribadism
3. Satyriasis
4. Sadism

Correct answer: 3. Satyriasis

Explanation: Ans. SatyriasisSatyriasis is excessive sexual desire in male where he enjoys having multiple sexual partners or desires excessive sexual activity.The female-specific term for the same condition is Nymphomania.* A fetish is an abnormal stimulus or object of sexual desire. - Fetishism means the use of such objects of sexual gratification leading to orgasm. For exmaple underclothing, brassiere, petticoat, stocking, shoes, etc.Frotteurism :* Sexual satisfaction is obtained by rubbing against persons in crowd.* If they attempt intercourse, they have a premature ejaculation or they are impotent.* It is an uncommon perversion and rarely occurs alone